Commonest side effect of Dapsone -
1. Hemolytic anemia
2. Thrombocytopenia
3. Cyanosis
4. Bone marrow depression

Correct answer: 1. Hemolytic anemia

Explanation: Ans. is 'a' i.e., Hemolytic anaemia The most common adverse effect of dapsone is hemolytic anaemia (Patients with G-6-PP deficiency are more susceptible).